A 30 years old female, RBC Counts 4.5 million, MCV 55 fl, Tc 8000, no history of blood transfusion?
1. Iron deficiency
2. Thalassemia major
3. Thalassemia minor
4. Megaloblastic anemia

Correct answer: 3. Thalassemia minor

Explanation: RBC count within normal limits 4.5(4.2-5.4 millions for female). Therefore rule out anemia MCV 55 => microcytic (80-96 fL ). Could be thalassemia minor or major Since it is a female aged 30 more probablity for thalassemia minor Ref : Robbins 9/e pg 414